Reichert-Meissl number:
1. 0.1 N KOH
2. 0.5 KOH
3. 0.1 N NaOH
4. 0.5 NaOH

Correct answer: 1. 0.1 N KOH

Explanation: Ans. A. 0.1NKOHReichert-Meissl number is defined as the number of moles of 0.1NKOH required to Completely neutralize the soluble volatile fatty acids distilled from 5g fat.